Reciprocal anchorage is offered by
1. Activator
2. Inter maxillary elastics
3. Maxillary expansion appliance
4. Catalan's appliance

Correct answer: 3. Maxillary expansion appliance